Most common foreign body to cause penetrating injury to ciliary body
1. Ball
2. Hammer and chisel
3. Gun bullet
4. Vegetative material

Correct answer: 2. Hammer and chisel

Explanation: Ans. (b) Hammer and chisel Ref: A.K. Khurana 6th ed. /163, 437